Calcinosis universalis occurs in –
1. Ehlers Danlos syndrome
2. Christian Weber syndrome
3. Deimatomyositis
4. Scleroderma

Correct answer: 3. Deimatomyositis

Explanation: Calcinosis universalis is the diffue deposition of calcium salts in the skin, subcutaneous tissue and sometimes in connective tissue. It occurs in Juvenile Dermatomyositis.